All are features in Treacher-collin syndrome except:
1. Coloboma of inferior lid
2. Mandibular hypoplasia
3. Low intelligence
4. Cleft palate

Correct answer: 3. Low intelligence

Explanation: Intelligence is not affected in Treacher-Collin syndrome(like Turners syndrome) Treacher-Collins syndrome/Franceschetti syndrome Autosomal dominant Facial appearance: downward sloping palpebral fissures, colobomas and drooping of the lower eyelids, sunken cheekbones, deformed pinnae, atypical hair growth extending towards cheeks Facial clefts, malformed ears, deafness Hypoplastic mandible Ref: Nelson textbook of pediatrics 21st edition Pgno: 1917